Moth eaten bone is seen in which of the following ?
1. Osteoid osteoma
2. Multiple myeloma
3. Eosinophilic granuloma
4. Chondromyxoid fibroma

Correct answer: 2. Multiple myeloma

Explanation: Moth eaten pattern - Areas of destruction with ragged borders - Implies more rapid growth More likely chance of malignancy - Example Multiple Myeloma Metastasis Ewing's Sarcoma ref : maheswari 9th ed